A child presents with unilateral propotosis which is compressible and increases on bending forwards. It is non-pulsatile and has no thrill or bruit. MRI shows retroorbital mass with ecogenic shadows (with enhancement). The most probable diagnosis is:
1. Neurofibromatosis
2. Orbital varix
3. Orbital A-V fstula
4. Orbital encephalocele

Correct answer: 2. Orbital varix

Explanation: B i.e. Orbital varix